Which of the following is not true about dengue shock syndrome?
1. Susceptibility to dengue shock syndrome drops considerably after 12 years of age
2. Well-nourished child is protected from the manifestation
3. Serotype 1 infection followed by serotype 2 seems to be more dangerous than serotype 4 followed by serotype 2
4. Serotype 2 infection has more chances of developing dengue shock syndrome compared to other serotypes

Correct answer: 2. Well-nourished child is protected from the manifestation

Explanation: Ans. is 'b' i.e., Well-nourished child is protected from the manifestation * The induction of vascular permeability and shock in dengue patients i. e. development of dengue shock syndrome depends on multiple factors, including the following:i) Presence of enhancing and nonneutralizing antibodies-- Transplacental maternal antibody may be present in infants <9 months old, or antibody elicited by previous heterologous dengue infection may be present in older individuals. T cell reactivity is also intimately involved.ii) Age--Susceptibility to DHF/DSS drops considerably after 12 years of age.iii) Sex--Females are more often affected than males.iv) Race--Whites are more often affected than blacks.v) Nutritional status--Malnutrition is protective.vi) Sequence of infection--F or example, serotype 1 followed by serotype 2 seems to be more dangerous than serotype 4 followed by serotype 2.vii) Infecting serotype--Type 2 is apparently more dangerous than other serotypes.Note: There is considerable variation among strains of a given serotype, with Southeast Asian serotype 2 strains having more potential to cause DHF/DSS than others.